All are true about Mastoid antrum except
1. Thickness of bone of lateral wall is about 1.5 cm
2. It does not communicate with middle ear
3. Air cells are present in the upper part
4. Surface marking done by Me Ewen's Traingle

Correct answer: 2. It does not communicate with middle ear

Explanation: (B) It does not communicate with middle ear# Mastoid Antrum:> Is a large, air-containing space in the upper part of mastoid and communicates with the attic through the aditus.> Its roof is formed by the tegmen antri and is a continuation of the tegmen tympani and separates it from the middle cranial fossa.> The lateral wall of antrum is formed by a plate of bone which is on an average 1.5 cm thick in the adult.> It is marked externally on the surface of mastoid by suprameatal (MacEwen's) triangle.